Tyrosine utilized in synthesis of all except ?
1. Melanin
2. Melatonin
3. Dopamine
4. Thyroxine

Correct answer: 2. Melatonin

Explanation: Melatonin